A 17 years old female presents with sore throat, lymphadenopathy and positive heterophile antibodies test. Diagnosis is ?
1. Tuberculosis
2. Streptococcal pharyngitis
3. Infectious mononucleosis
4. Cytomegalic inclusion disease

Correct answer: 3. Infectious mononucleosis

Explanation: Ans. is 'c' i.e., Infectious mononucleosis Laboratory diagnosis In IMN, there is predominantly lymphocytosis with presence of 20% or more atypical lymphocytes. These atypical lymphocytes are activated T-lymphocytes which have round or irregularly shaped nuclei, with abundant flowing cytoplasm that characteristically has a dark-staining peripheri.